A child presents with unilateral, foul smelling nasal discharge. Most probable cause could be:
1. Acute sinusitis
2. Foreign body
3. Rhinolith
4. Nasal synechiae

Correct answer: 2. Foreign body

Explanation: Ans. B: Foreign Body If a child presents with unilateral, foul smelling nasal discharge, foreign body must be excluded Clinical features of forgotten foreign body in the nose Unilateraly foul smeeling nasal discharge Recurrent unilateral nasal infections Swelling and pain in the nose Unilateral nasal block The presence of unilateral foul smelling nasal discharge is always an indication of foreign body in the nose and a deligent search should be made to locate it.